all the following drugs are central antagonist drugs used in opiod dependency except ?
1. nalaxone
2. nalmefene
3. naldemedine
4. naltraxone

Correct answer: 3. naldemedine

Explanation: Opioid Antagonists * Naloxone is an example of a opioid antagonist. * It is administered intravenously. * It can rapidly produce the withdrawal symptoms associated with opioid addiction. * Naltrexone is another example of an opioid antagonist. It is more potent than Naloxone and is used i the treatment of alcohol addiction but its mechanism in this treatment is unknown. PERIPHERAL ANTAGONISTS NALOXEGOL ALVIMOPAN NALDEMEDINE (PAMORA). ref : kd tripathi 8th ed